Auto haemolysis test is positive in -
1. Beta thalessemia
2. Hereditary spherocytosis
3. Vit E deficiency
4. Sickle cell disease

Correct answer: 2. Hereditary spherocytosis